Teeth with a maximum mesiodistal inclination is:
1. Maxillary canines.
2. Mandibular lateral incisor.
3. Mandibular canine.
4. Maxillary central incisor.

Correct answer: 1. Maxillary canines.

Explanation: 17 degrees is the maximum mesiodistal inclination of maxillary canines.